The best time period to give preoperative antibiotics :
1. Within 1 hour prior to incision
2. Within 6 hour prior to incision
3. Just before incision
4. Just before induction of anaesthesia

Correct answer: 1. Within 1 hour prior to incision

Explanation: It is best to give antibiotics within 1 hour prior to surgical site incision. There is two exception to this rule i. Vancomycin should be given 2 hours prior ii. When tourniquet is used it should be given before inflation of tourniquet. The most common organisms implicatedas causes of surgical site infections include: staphylococcus aureus staphylococcusepidermidis aerobic streptococci anaerobic cocci